Intercalated disc has all except:
1. Zona occludens
2. Macula adherens
3. Fascia adherens
4. Gap junctions

Correct answer: 1. Zona occludens

Explanation: Zona occludens = tight junction, Macula adherens = desmosome The intercalated disks are composed of a fascia adherens that is responsible for end-to-end cell anchoring of actin filaments to one another and no tight junctions are present. Between the myofibers, the macula adherens (or desmosome) binds the cells and is responsible for anchoring the intermediate filament cytoskeletal proteins, vimentin, and desmin. Gj = Gap junction; Ds = Desmosome; Fa = Fascia adherens